Ogilvie syndrome is?
1. Small bowel obstruction
2. Large bowel obstruction
3. Colonic pseudo-obstruction
4. Bowel ischemia

Correct answer: 3. Colonic pseudo-obstruction

Explanation: Ans COgilvie syndromeQ is the acute dilation of the colon in the absence of any mechanical obstruction in severely ill patients. Colonic pseudo-obstruction is characterized by massive dilatation of the cecum (diameter > 10 cm) and right colon on abdominal X-ray. The condition carries the name of the British surgeon Sir William Ogilvie, who first reported it